A 15-year-old female presents to your office with secondary amenorrhea. As part of your evaluation, you find that she is pregnant. After informing her of the pregnancy, you continue to explain that young mothers have a higher risk of several pregnancy-related complications, including which of the following?
1. Twin gestation
2. Low-birth weight infants
3. Hypotension
4. Excessive weight gain

Correct answer: 2. Low-birth weight infants

Explanation: Adolescents are typically healthy and do not have chronic disease. However, several pregnancy complications occur more frequently in teens, including poor weight gain in the mother, premature delivery, low birth weight, and an increased risk of pregnancy-induced hypertension. The risk of violence is also elevated for teen mothers. As both parents age, the risk of genetic defects in their infant increases. Teen mothers have a lower risk of twin gestation.